Glucokinase:
1. Is widely distributed and occurs in most mammalian tissues
2. Has a high km for glucose and hence is important in the phosphorylation of glucose primarily after ingestion of a carbohydrate rich meal
3. Is widely distributed in Prokaryotes
4. None of these

Correct answer: 2. Has a high km for glucose and hence is important in the phosphorylation of glucose primarily after ingestion of a carbohydrate rich meal

Explanation: Ans. B. Has a high km for glucose and hence is important in the phosphorylation of glucose primarily after ingestion of a carbohydrate rich mealGlucokinase is present in the liver and helps in clearing of glucose when the concentration of glucose exceeds 100 mg/dl. Hexokinase also phosphorylates glucose and other hexoses sugar. The major differences between glucokinase and hexokinase are:HexokinaseGlucokinase1. Nonspecific, can phosphorylate any hexose sugarSpecific for glucose only.2.More stablePhysiologically more labile.3. Found almost in all the tissues.Found only in the liver.4.Found in foetal and adult liver.Only found in adult liver.5.low km, more affinity with glucose.High km, less affinity with glucose.6. No change with glucose feeding.Increases by feeding glucose.7. Not influenced by diabetes/fasting.Depressed in fasting/diabetes.8. No effect of Insulin.Increases